Mobile bone of skull
1. Maxilla
2. Mandible
3. Ethmoid
4. Sphenoid

Correct answer: 2. Mandible

Explanation: The mandible or lower jaw is the largest and the strongest bone of the face. It develops from the first pharyngeal arch. It has a horseshoe-shaped body which lodges the teeth, and pair of rami which project upwards from posterior ends of the body. The rami provide attachment to the muscles of mastication. Ref BDC volume 3,sixth edition pg 31